Which of the following is a retroperitoneal structure:
1. Caecum
2. Transverse colon
3. Descending colon
4. Sigmoid colon

Correct answer: 3. Descending colon

Explanation: Descending colon